Most common organism associated with cystic fibrosis -
1. Pseudomonas aeruginosa (non mucoid)
2. Burkholderia cepacia
3. Pleisomonas
4. Aeromonas

Correct answer: 1. Pseudomonas aeruginosa (non mucoid)

Explanation: Ans is 'a' i.e., Pseudomonas aerugenosa (non mucoid) o The most common and important pathogen in cystic fibrosis is Pseudomonas aeruginosa,which causes infections that, once established, are impossible to eradicate. o Acquisition of Pseudomonas infection begins early in childhood. The initial acquisition of P. aeruginosa in the CF lung is with nonmucoid strains and occurs early in life. Over time there is transition to mucoid strain, and with age mucoid strain becomes predominant with age. o Non-mucoid P. aeruginosa can be eradicated with aggressive anti-pseudomonal antibiotic theraphy. Mucoid strain cannot be eradicated by current antibiotics and therefore predicts shortened survival.